All of the following are ultrasonographic fetal growth parameters except
1. Head circumference
2. Transcerebellar diameter
3. Femur length
4. Biparietal diameter

Correct answer: 2. Transcerebellar diameter

Explanation: Ultrasound imaging: Standard morphometric measurements are as under Fetal crown-rump length (in the first trimester); Biparietal diameter; Head circumference; Abdominal circumference; Femur length; and Total intrauterine volume.